Substance dependence is due to all except?
1. Personality
2. Peer Pressure
3. Family history of substance abuse
4. Intelligence

Correct answer: 4. Intelligence

Explanation: Family history & genetic vulnerability, Co-morbid personality disorder and peer pressure are etiological factors for substance use disorder.